Enzyme deficiency in Acute intermittent porphyria is
1. ALA synthase
2. Uroporphyrinogen I- synthase
3. Uroporphyrinogen III synthase
4. Uroporphyrinogen decarboxylase

Correct answer: 2. Uroporphyrinogen I- synthase

Explanation: B. i.e. (Uroporphyrinogen- I synthase) (286 - Harper 27th)Enzyme involvedPorphyria* ALA synthase* Uroporphyrinogen I synthase- X- linked sideroblastic anemia- Acute Intermittent porphyria* Uroporphyrinogen III synthase- Congenital erythropoietic porphyria* Uroporphyrinogen decarboxylase- Porphyria cutanea tarda* ALA synthase is the rate controlling step in hepatic porphyrin biosynthesis*** Porphyrins are synthesized mainly in Liver and bone marrow*** The conversion of uroporphyrinogen III to coproporphyrinogen III is an example of - Decarboxylation*** Prophobilinogen in urine produces pink colour with Ehrlich's aldehyde reagent**